Which of the following fibroids are not suitable for uterine artery embolization
1. Intramural fibroid
2. Subserosal fibroid
3. Cervical fibroid
4. pedunculated submucous fibroid

Correct answer: 4. pedunculated submucous fibroid

Explanation: Pedunculated submucosal fibroids are not suitable for UAE because they can infarct and slough.